18 year old girl with circumscribed bald patch with no organic disease & no behavioural disorder has ?
1. Depression
2. Trichotillomania
3. OCD
4. Phobia

Correct answer: 2. Trichotillomania

Explanation: Ans. is 'b' i.e., Trichotillomania As there is no organic or behavioral disorders, this girl is suffering with impulse control disorder of compulsive hair pulling, known as Trichotillomania. Impulse control disorder These disorders are characterized by failure to resist an impulsive behavior that may be harmful to self or others. There may be a feeling of release of tension by doing the act and a feeling of guilt after the act is over. Important impulse control disorder are : - Pyromania (Pathological fire setting) Kleptomania (Pathological stealing) Trichotillomania (Compulsive hair pulling) Pathological gambling Intermittent explosive disorder Impulse control disorder not otherwise specified Oniomania (Compulsion to shop/buying) Internet compulsion (Internet addiction) Cellular or Mobile phone compulsion Compulsive sexual behavior (sexual addiction).